Brunner's glands are seen in:
1. Jejunum
2. Upper duodenum
3. Lower duodenum
4. Appendix

Correct answer: 2. Upper duodenum

Explanation: An extensive array of compound mucous glands, called Brunner's glands, is located in the submucosa of the first few centimeters of the duodenum, mainly between the pylorus of the stomach and the papilla of Vater These glands secrete large amounts of alkaline (pH 9) mucus.